Right hepatic duct drains all, Except:
1. Segment I
2. Segment III
3. Segment V
4. Segment VI

Correct answer: 2. Segment III

Explanation: B i.e. Segment III